Which of the following is not a DMARDs in treatment of RA ?
1. Methotrexate
2. Leflunomide
3. Corticosteroids
4. Penicillamine

Correct answer: 3. Corticosteroids

Explanation: Ans. is 'c' i.e., Corticosteroids Disease modifying antirheumatic drugs (DMARDs) Immunosuppresants - Methotrexate, azathioprine, cyclosporine Sul fasal azine Choloroquine or hydroxychloroquine Leflunomide Gold sod. thiomalate, Auranofin Penicillamine Biologic response modifier (BRIM) TNF a - inhibitors Etanercept, Infliximab, Adalimumab IL-1 antagonist Anakinra Adjuvant drugs Corticosteroids